Contents of the middle car cavity are all except:
1. Malleus
2. Stapes
3. Chorda tympani
4. Cells of cord

Correct answer: 4. Cells of cord